The oral Lesion of syphilis that is highly infective is a:
1. Gumma
2. Koplik spot
3. Mucous patch
4. Tabes dorsalis

Correct answer: 3. Mucous patch